The discovery of "gene transformation" came from the study of one of the following bacteria?
1. Bacillus subtilis
2. Streptococcus pyogenes
3. Streptococcus pneumoniae
4. Escherichia coli

Correct answer: 3. Streptococcus pneumoniae

Explanation: transformation is the transfer of genetic information through the agency of free DNA .it was the first eg of genetic exchange in bacteria to have been discoverd . griffith in 1928 found that mice died when injected with a mixture of live non capsulated pneumococci and heat killed capsulated pneumococci neither of which separately proved fatal REF:Ananthanarayan & Panicker's Textbook of Microbiology 8th edition pg no:63